Phenylalanine deaminase test is positive in ?
1. Salmonella
2. Proteus
3. Vibrio cholerae
4. Helicobacter

Correct answer: 2. Proteus

Explanation: Ans. is 'b' i.e., Proteus The distinctive character of proteus genus is deamination of phenyl alanine to phenyl pyruvic acid (PPA + ye)